The most prominent toxic effect associated with acetaminophen use is
1. Respiratory alkalosis
2. Haemorrhage
3. Hepatic necrosis
4. Gastric Ulceration

Correct answer: 3. Hepatic necrosis